When the same dose of a drug is repeated at half life intervals, the steady-state(plateau)plasma drug concentration is reached after
1. 2-3 half lives
2. 4-5 half lives
3. 6-7 half lives
4. 8-10 half lives

Correct answer: 2. 4-5 half lives

Explanation: Steady state concentration of a drug is achieved after 4-5 half-lives Ref: KDT 6/e pg 30.